Burns present as all the following EXCEPT
1. Sepsis
2. Shock
3. Acute kidney injury
4. Air embolism

Correct answer: 4. Air embolism

Explanation: Ans. (d) Air embolismRef : Schwartz 10th ed. 1233The following Complications in burns may occur* Infections being the most common* Pneumonia, cellulitis, urinary tract infections* Anemia secondary to full thickness burns of greater than 10% TBSA is common.* Electrical burns may lead to compartment syndrome or rhabdomyolysis* Deep vein thrombosisLong term morbidity with burns* The hypermetabolic state result in a decrease in bone density and a loss of muscle mass.* Keloids may form subsequent to a burn* Significant psychological trauma* Social isolation, extreme poverty and child abandonment.